What are the EEG waves recorded for parieto occipital region with subject awake an eyes closed:
1. Alpha waves
2. Beta waves
3. Theta waves
4. Delta waves

Correct answer: 1. Alpha waves

Explanation: A ref: Physio Ganong, 21 st/e p. 197